A 6 year old female child presented with a valgus deformity of right elbow since 2 years which is gradually progressive and she is feeling tingling in ulnar one and half fingers as well. She had a history of cast applied for 6 weeks after fall on outstretched hand 2 years back. The probable fracture was:
1. Supracondylar humerus fracture
2. Posterior dislocation of elbow
3. Lateral condyle humerus fracture
4. Fracture medial condyle humerus

Correct answer: 3. Lateral condyle humerus fracture

Explanation: Ans. C. Lateral condyle humerus fracturea. Lateral condyle of humerus fracture are fracture of necessity as chances of nonunion are very common. In the above scenario, valgus deformity is progressive, which usually results from non-union of lateral condyle. As the Valgus keeps on increasing, it will stretch the ulnar nerve resulting in tardy ulnar nerve palsy.b. Medial condyle of humerus fracture and supracondylar humerus fractures are known to cause Varus deformity.c. Posterior dislocation of elbow will lead to extension deformity.